Which of the following is not prion associated disease:
1. Scarpie
2. Kuru
3. Creutzfeldt-Jakob disease
4. Alzheimer's disease

Correct answer: 4. Alzheimer's disease

Explanation: Ans. (d) Alzheimer's disease Various prion disease are as follows: Kuru Creutzfeldt-Jakob disease (CJD) Fatal familial insomnia (FFI) Gerstmann-Straussler-Scheinker disease (GSS) Sporadic fatal insomnia (SFI) Scrapie Transmissible mink encephalopathy Bovine spongiform encephalopathy (mad cow disease) Chronic wasting disease Feline spongiform encephalopathy Exotic ungulate encephalopathy